All except one are used in treatment of marjolins ulcer
1. Wide excision
2. Radiotherapy
3. Amputation
4. Resection

Correct answer: 2. Radiotherapy

Explanation: Radiotherapy is not given for marjolin's ulcer.